The best suited anticogulant for osmotic fragility test is:
1. Heparin
2. EDTA
3. Trisodium citrate
4. Potassium oxalate

Correct answer: 1. Heparin

Explanation: Ans. (a) Heparin(Ref: Dacie 11th/pg246)Best suited anticogulant for osmotic fragility test is Heparin.Heparinized venous blood or defibrinated blood may also be usedOxalated or citrated blood is not suitable because of the additional salts added to it.